Development of diaphragmbegins at 4 weeks of gestation. Diaphragm has contributions from different structures. Central tendon of diaphragm develops from?
1. Dorsal mesooesophagus
2. Septum transversum
3. Pleuro peritoneal membrane
4. Cervical myotomes

Correct answer: 2. Septum transversum

Explanation: Development of Diaphragm
Diaphragm develops from
Septum transversum: it is a mass of mesodermal tissue arising from coelomic wall at the 4rd week of gestation. It forms the central tendon of diaphragm.
Dorsal mesooesophagus forms the median portion of diaphragm & the crurae.
Cervical myotomes (from C3-C5 somites) of lateral body wall form the peripheral parts of diaphragm.
Pleuro-peritoneal membranes.
Chromosome 15q plays a major role in diaphragm development
- During the initial period of development, it lies at a higher level (cervical) and then migrates caudally and hence the nerve supply is from C3, C4, C5 (Phrenic nerve).